Cafe au lait spots are seen in
1. NF
2. Gardner syndrome
3. Down syndrome
4. Cockayne syndrome

Correct answer: 1. NF

Explanation: Cafe lau ait spots are classically seen in neurofibromatosis :Cafe au lait spots, or cafe au lait macules, are flat, pigmented birthmarks.The name cafe au lait is French for "coffee with milk" and refers to their light-brown color. They are also called "giraffe spots," or "coast of Maine spots," which refers to their jagged borders They are caused by a collection of pigment-producing melanocytes in the epidermis of the skin. These spots are typically permanent and may grow or increase in number over time. Cafe au lait spots are often harmless but may be associated with syndromes such as neurofibromatosis type 1 and McCune-Albright syndrome Cafe au lait spots can arise from diverse and unrelated causes: Having six or more cafe au lait spots greater than 5 mm in diameter before puberty, or greater than 15 mm in diameter after puberty, is diagnostic feature of neurofibromatosis type I, but other features are required to diagnose NF-1. Familial multiple cafe au lait spots have been observed without NF-1 diagnosis. They can be caused by vitiligo in the rare McCune-Albright syndrome. Legius syndrome Fanconi anemia Idiopathic Ataxia-telangiectasia Basal cell nevus syndrome Benign congenital skin lesion Bloom syndrome Chediak-Higashi syndrome Congenital naevus Gaucher disease Hunter syndrome Jaffe-Campanacci syndrome Maffucci syndrome Multiple mucosal neuroma syndrome Noonan syndrome Silver-Russell syndrome Watson syndrome Tuberous Sclerosis Wiskott-Aldrich syndrome Ref Harrison 20th edition pg 1234